The purpose of a root canal sealer is to:
1. Seal the tubules of the dentine
2. Stimulate healing in periapical region
3. Prevent discoloration
4. Fill the space between solid core material and the pulp canal walls

Correct answer: 4. Fill the space between solid core material and the pulp canal walls